The structural proteins are involved in maintaining the shape of a cell or in the formation of matrices in the body. The shape of these protein is:
1. Globular
2. Fibrous
3. Stretch of beads
4. Planar

Correct answer: 2. Fibrous

Explanation: Ans. B. FibrousBased on the shape of protein are classified into:Fibrous Protein#Elongated or Needle shaped or long cylindrical or rodlike a Minimum Solubility in water#Regular Secondary Structure#Axial Ratio >10#They are Structural Proteins, e.g. Collagen, Elastin, KeratinGlobular Proteins#Spherical or oval or Spheroidal in shape#Easily Soluble#Axial Ratio <3#They perform dynamic functions, e.g. Albumin, Globulin, most enzymes